Irreversible cell injury is characterised by which of the following?
1. Mitochondrial densities
2. Cellular swelling
3. Blebs
4. Myelin figures

Correct answer: 1. Mitochondrial densities

Explanation: The two key features of irreversible injury are:

Inability to reverse mitochondrial dysfunction and
Development of profound disturbances in the membrane function